Which of the following is not a coccidian parasite?
1. Isospora
2. Toxoplasma
3. Blastomyces
4. Cyclospora

Correct answer: 3. Blastomyces

Explanation: Isospora, Toxoplasma and Cyclospora all three are coccidian parasites which belongs to a phylum apicomplexa. They all have a common feature of organelle that helps in the penetration in host cells whereas blastomyces is a dimorphic fungi. Blastomyces is a fungus.